Chemotherapy can be successful during treatment of:
1. Anneloblastoma
2. Leukemia
3. Fibrosarcoma
4. Basal cell carcinoma

Correct answer: 2. Leukemia